Baroreceptors stimulation would result in
1. Inhibition of para sympathetic activity
2. Excitation of sympathetic activity
3. Increase in heart rate
4. Decrease in blood pressure

Correct answer: 4. Decrease in blood pressure

Explanation: Baroreceptor stimulation results in

Inhibition of sympathetic activity
Excitation of parasympathetic activity
Decrease in heart rate
Decrease in blood pressure